The ligand-receptor complex dissociates in the endosome because
1. Of its large size
2. The vesicle looses its clathrin cost
3. Of the acidic pH of the vesicle
4. Of the basic pH of the vesicle

Correct answer: 3. Of the acidic pH of the vesicle

Explanation: Ligand-gated channels are opened by binding of effectors. The binding of a ligand to a receptor site on the channel results in the opening (or closing) of the channel (Fig. 2.11). The ligand may be an extracellular signaling molecule or an intracellular messenger.Ref: DM Vasudevan, page no: 15